Diagnostic workup in septate uterus before surgery includes:
1. HSG
2. USG
3. Laparoscopy
4. All of the above

Correct answer: 4. All of the above

Explanation: Ans. is d, i.e. All of the aboveRef: Williams gynae 3/e, pg 422For septate uterus:"Sonography and HSG seen acceptable imaging technique in the initial investigation when the presumptive diagnosis is a septate uterus, laparoscopy max/ be performed for a definitive diagnosis and before hysteroscopic resection of septa is initiated". - Ref: Williams gynae 3/e, pg 422